Which of the following is most likely to produce a junctional scotoma
1. Meningioma
2. Craniopharyngioma
3. Pituitary gland enlargement
4. All the above

Correct answer: 1. Meningioma

Explanation: Junctional scotoma is due to lesion at junction of Optic nerve and chiasma. Which is m/c due to meningioma.